Ova in stool are not of diagnostic significance in:
1. Ankylostoma
2. Entrobius
3. Strongyloides
4. Trichuris

Correct answer: 3. Strongyloides

Explanation: Ans. (c) StrongyloidesRef: Jawetz, Melnick, & Adelberg's Medical Microbiology 24th ed.* Ova/egg in stool is not required for diagnosis of Strongyloides.* In the other given cases like ankylostoma, Enterobius, and trichuris if ova/egg is seen, it indicates infestation of that parasite.* Remember: shape of Trichuris trichura egg: Barrel shaped